Topical mitomycin -C is used in
1. Surge Weber syndrome
2. Laryngo tracheal stenosis
3. Endoscopic Angiofibroma
4. Skull base osteomyelitis

Correct answer: 2. Laryngo tracheal stenosis

Explanation: Application of topical mitomicin C after endoscopic dilation of laryngo tracheal stenosis reduces the rate of Re stenosis It is also useful for anal carcinoma and superficial bladder cancer Refer American college of chest physician's, 2008